Excessive fibrosis in tumor in called-
1. Anaplasia
2. Metaplasia
3. Desmoplasia
4. Dysplasia

Correct answer: 3. Desmoplasia

Explanation: Desmoplasia a growth of fibrosis or connective tissue. It is swamp plastic growth secondary to an insult. May occur around a brook ask causing dense fibrosis. Or within scar tissue as adhesions in the abdomen after abdominal surgeries.